Saliva is
1. Hypertonic
2. Hypotonic
3. Isotonic
4. At first hypertonic, then isotonic

Correct answer: 2. Hypotonic

Explanation: Saliva has a pH normal range of 6.2-7.6 with 6.7 being the average pH. Resting pH of mouth does not fall below 6.3. In the oral cavity, the pH is maintained near neutrality (6.7-7.3) by saliva. The saliva contributes to maintenance of the pH by two mechanisms Ref: guyton and hall textbook of medical physiology 12 edition page number:400,401,402